The primary structure of a protein refers to:
1. Linear structure and order of the amino acids present
2. Regular confirmational forms of a protein
3. Complete three-dimensional structure of the polypeptide units of a given protein
4. Subunit structure of the protein

Correct answer: 1. Linear structure and order of the amino acids present

Explanation: A i.e. Linear structure and order of amino acids present